Commonest artery for cannulation is -
1. Radial
2. Ulnar
3. Brachial
4. Cubital

Correct answer: 1. Radial

Explanation: Answer is 'a' i.e. Radial "Arterial puncture and cannulation is performed to measure the Pa02, PaCO2, Sa02 and pH to clarify the acid-base and electrolyte status. Any artery that can be compressed after puncture may be used (but not end-arteries); usually the radial (preferred), brachial, or femoral" - Lee 12/e